Most common type of HPV associated with cervical cancer -
1. 6, 11
2. 5, 8
3. 16, 18
4. 6, 8

Correct answer: 3. 16, 18

Explanation: HPV16&18 causes carcinoma of cervix REF:ANATHANARAYANAN MICROBIOLOGY NINTH EDITION PAGE.552